Which of the following is the location of the mental foramen?
1. Between the premolar of mandible
2. First molar of mandible
3. Canine of mandible
4. Canine of maxilla

Correct answer: 1. Between the premolar of mandible

Explanation: The mental foramen lies below the interval between the premolar teeth. The mental nerve exits the mandible through the mental foramen and supplies the lower lip and chin. The mental nerve is palpable and sometimes visible through the oral mucosa adjacent to the roots of the premolar tooth.